Coagulase test differentiates?
1. Staphylococci from streptococci
2. Streptococci from enterococci
3. Staph aureus from staph epidermids
4. Staph epidermidis from staph saprophyticus

Correct answer: 3. Staph aureus from staph epidermids

Explanation: Ans. is 'c' i.e., Staph aureus from staph epidermidis